Spinal accessory nerve supplies-
1. Trapezius
2. Rhomboids major
3. Levator Scapulae
4. Subclavius

Correct answer: 1. Trapezius

Explanation: Ans. is 'a' i.e., Trapezius * Spinal accessory (spinal part) nerve supplies motor branches to# Trapezius# Sternocleidomastoid